True about caudate lobe of liver is:-
1. It receives blood supply from both right and left hepatic artery
2. It is segment 2 of liver
3. It is situated on anterior surface of liver
4. It lies between aorta and Ligamentum venosum

Correct answer: 1. It receives blood supply from both right and left hepatic artery

Explanation: Caudate lobe of liver It lies on the Posterior surface of the liver. Bounded on right by groove for IVC on right by Ligamentum venosum and below by porta hepatis. Caudate lobe is physiologically independent lobe which belongs to both right and left lobe obtain blood supply from both sides and drain bile into both right and left hepatic duct.